All are causes of chronic granulomatous uveitis except :
1. Sarcoidosis
2. Tuberculosis
3. Brucellosis
4. Fuchs iridocyclitis

Correct answer: 4. Fuchs iridocyclitis

Explanation: Fuchs iridocyclitis (Fuchs Heterochromic Uveitis): Almost always U/L uveitis Young age Idiopathic TRIAD: - Heterochromia - Cataract - Diffuse Stellate KP's Fuchs heterochromic iridocyclitis presents with low grade anterior or intermediate uveitis and no remarkable symptoms Usually identified during routine examination/cataract evaluation in young/glaucoma evaluation Commonly associated with Glaucoma